Ectopic pregnancy is associated with all except :
1. Salpingitis
2. IUCD
3. Plastic procedure on the tube
4. None

Correct answer: 4. None